Frameshift mutation occurs due to:
1. Transition
2. Transversion
3. Insertion
4. Point mutation

Correct answer: 3. Insertion

Explanation: A frameshift mutation is caused by a deletion or insertion in a DNA sequence that shifts the way the sequence is read.